First quartile of the following data is - 1, 3, 4, 2
1. 1
2. 3
3. 1.5
4. 4

Correct answer: 3. 1.5